A pregnant woman admitted with pre eclampsia complicated with HELLP syndrome. She suddenly developed hypotension, breathlessness and right hypochondriac pain. USG showed hemoperitoneum. Most probable diagnosis is?
1. Abruptio placentae
2. DIC
3. Rupture of hepatic hematoma
4. Part of pre-eclamptic toxemia

Correct answer: 3. Rupture of hepatic hematoma

Explanation: Periportal hemorrhagic necrosis (characteristic hepatic lesion in pre eclampsia)in the liver periphery with some degree of hepatic infarction accompanied with hemorrhage Clinical presentation: moderate to severe right-upper quadrant or midepigastric pain hepatic region tenderness. raised liver enzymes, hemolysis and thrombocytopenia( HELLP Syndrome) hemorrhagic infarct may form a subcapsular hematoma which may rupture leading to sudden hypotension, breathlessness, hemoperitoneum.